The following virus can be grown only in suckling mice -
1. Coxsackie virus
2. Rhinovirus
3. Echovirus
4. Poliovirus

Correct answer: 1. Coxsackie virus

Explanation: It is necessary to employ suckling mice for the isolation of coxsackie virus. REF:ANANTHANARAYAN AND PANIKER'S TEXTBOOK OF MICROBIOLOGY 9TH EDITION PAGE NO:491